Chest X-ray shows opacity after blunt trauma, most likely diagnosis is –
1. Haemothorax
2. Pneumothorax
3. Pneumonia
4. Pulmonary embolism

Correct answer: 1. Haemothorax

Explanation: Amongst the given options hemothorax and pneumonia (consolidation) produce opacity on chest X-ray. Pneumonia has nothing to do with blunt chest trauma, while hemothorax is common after blunt chest trauma. Therefore, best answer here is hemothorax.
Pneumothorax causes hypertranslucency (not opacity).